The following is suggestive of an organic cause of the behavioural symptoms
1. Formal thought disorder
2. Auditory hallucinations
3. Delusion of fruit
4. Prominent visual hallucination

Correct answer: 4. Prominent visual hallucination

Explanation: D i.e. Prominent visual' hallucination